A 40 year old male develops excessive hyperventilation. ABG reveals pH- 7.5, PCO2 24 mmHg, PO2 88 mm of Hg. Treatment is :
1. Respiratory alkalosis
2. Metabolic alkalosis
3. Respiratory acidosis
4. Metabolic acidosis

Correct answer: 1. Respiratory alkalosis

Explanation: Answer A (Respiratory alkalosis) : There is alkalosis (pH = 7.5) and CO2 is low (alkalosis). Change in CO2 is inkeeping with change in pH and thus the primary cause is respiratory. The acid base disturbance is thus primary respiratory alkalosis.